Amnesia is found in
1. Head injury
2. Mania
3. Schizophrenia
4. Psychiatric state

Correct answer: 1. Head injury

Explanation: A i.e. Head injury Amnesia can be seen after head injuryQ either as a part of concussion injury or as an organic brain syndrome. Other causes of amnesia are Organic amnestic syndromes - Dementia, delirium, Korsakoff"s syndromeQ Dissociative disorder Transient global amnesia Type of memory loss in different Organic mental disorders Memory Delirium Dementia Organic Amnestic syndrome Immediate memory Normal Normal Disturbed Recent memory Disturbed Disturbed Disturbed Remote memory Normal Disturbed Disturbed